Buerger's Disease is
1. Non - progressive
2. Segmental
3. Non - inflammatory
4. Atherosclerotic

Correct answer: 2. Segmental

Explanation: Buerger's Disease is non atherosclerotic inflammatory disorder involving medium sized and distal vessels. It is segmental, progressive , occlusive, inflammatory disease.